All of the following statements about Nasopharyngeal carcinoma are true, except -
1. Bimodal age distribution
2. Nasopharyngectomy with radical Neck dissection is the treatment of choice
3. IgA antibody to EBV is observed
4. Squamous cell carcinoma is the most common histological subtype

Correct answer: 2. Nasopharyngectomy with radical Neck dissection is the treatment of choice

Explanation: Treatment of choice for nasopharyngeal carcinoma is radiotherapy.
Nasopharyngeal carcinoma has a bimodal age distribution. A small peak is observed in late childhood and a second peak occurs in people aged 50-60 years.
IgA antibodies to different EBV antigens are characteristically elevated in patients with nasopharyngeal carcinoma. Elevated titres of IgA antibodies to EBV viral capsid antigen (VCA) are most consistently observed in patients with nasopharyngeal carcinoma.
Squamous cell carcinoma in various grade of its differentiation or its variants as transitional cell carcinoma and lymphoepithelioma, is the most common type of nasopharyngeal carcinoma.